Which hormone does not increase in burns?
1. Cortisol
2. Glucagon
3. LH
4. Epinephrine

Correct answer: 3. LH

Explanation: Luteinizing hormone (LH) a gonadotropin of the anterior pituitary gland, acting with follicle-stimulating hormone to cause ovulation of mature follicles and secretion of estrogen by thecal and granulosa cells of the ovary; it is also concerned with corpus luteum formation. In the male, it stimulates the development of the interstitial cells of the testes and their secretion of testosterone. Called also interstitial cell-stimulating hormone.Ref: Ganong's review of medical physiology; 24th edition